HLA III gene codes for -
1. Immunological reaction in graft rejection
2. Complement
3. Graft versus host reaction
4. Immunoglobulins

Correct answer: 2. Complement

Explanation: HLAs corresponding to MHC class III encode components of the complement system. Ref: Ananthanarayanan & Panikers textbook of microbiology 9th edition pig: 140